Hypopigmented lesions are seen in
1. Melasma
2. Lichen planus pigmentosus
3. Urticaria pigmentosa
4. Pityriasis alba

Correct answer: 4. Pityriasis alba

Explanation: In melasma brown / grey brown macular pigmentation with well defined scalloped margins. Pigmentation darkens on sun exposure.
Lichen planus produces hyper pigmented lesions.
Pityriasis Alba produces scaly hypo pigmented macules.